Regarding adverse reaction of anti convulsants, all are true, EXCEPT :
1. Phenobarbitone - CVS defect
2. Carbamazepine - breech presentation
3. Phenytoin-gum hyperplasia
4. Sodium valproate neural tube defect

Correct answer: 2. Carbamazepine - breech presentation

Explanation: Ans. is 'b' Carbamazepine -breech presentation, * Teratogenic effects of Antiepileptic drugsDrugsTrimesterEffect1. Barbiturates (Phenobarbitone)AllCongenital heart diseasesCleft lip, palate*Neonatal dependenceRespiratory depression2. ValproateAll* Neural lube defects*3. CarbamazepineAll* Neural tube defects4. PhenytoinAll* Fetal hydantoin syndrome*Adverse effects of phenytoin||At therapeutic levelAt high plasma level1. Hypertrophy Gum (M.C.)*1. Cerebellar ataxia *2. Hirsutism*2. Epigastric pain3. Hypersensitivity reaction* (Rash, DLE)3. Fall in B.P. * and cardiac arrhythmia4. Hyperglycemia*4. Drowsiness*5. Hydantoin syndrome (Fetal)* 6. Osteomalacia* 7. Megaloblastic anaemia*